Wrapping up of the cerebellum around the brain stem in Chiari Malformation is called
1. Lemon sign
2. Banana sign
3. Lambda sign
4. Tectal Beak

Correct answer: 2. Banana sign

Explanation: Banana sign is due to the wrapping of cerebellum around the brain stem. Lemon sign is anterior bossing of frontal bone. Seen in Chiari II Malformation or spina bifida.